Irradiation can be used to sterilize A/E
1. Bone graft
2. Suture
3. Artificial tissue graft
4. Bronchoscope

Correct answer: 4. Bronchoscope

Explanation: Bronchoscope Endoscopes are sterilized by chemical methods Methods for sterilization of endoscopes - Rigid endoscope -4 Autoclave - Flexible -3 Glutaraldehyde peracetic acid Nowdays musculoskeletal tissue allografts are being increasingly used for knee reconstructive procedures. The soft tissue allografts commonly being used are bone patellartendon-bone, Achillestendon, fascia lata, anterior and posterior tibial tendon. Infections with allografts is a serious concern. Therefore these allografts need proper sterilization and disinfection. The proper sterilization procedure for these allografts is Gamma/Electron beam irradiation.